Soya bean is rich in –
1. Lysine
2. Aspartic acid
3. Glycine
4. Alanine

Correct answer: 1. Lysine